The contraceptive which is contraindicated in DVT is?
1. OCP
2. Barrier method
3. Billing's method
4. Non hormonal IUCD

Correct answer: 1. OCP

Explanation: Hormonal contraceptives Estrogen - arterial thrombosis Progesterone - venous thrombosis Progesterone or estrogen preparations are therefore not preferred in DVT patient.